Among the following drugs, ACE inhibitor with longest half life is:
1. Enalapril
2. Lisinopril
3. Perindopril
4. Ramipril

Correct answer: 3. Perindopril

Explanation: Perindopril Prodrug metabolised to Perindoprilat. Perindoprilat displays biphasic elimination kinetics with half-lives of 3-10 hours (the major component of elimination) and 30-120 hours (Owing to slow dissociation of perindoprilat from tissue ACE) Enalapril Lisinopril Ramipril Prodrug converted to enalaprilat. Enalapril has a t 1/2 ~1.3 hours. Enalaprilat has a plasma t 1/2 of ~11 hours due to tight binding to ACE. Not a prodrug. t1/2 in plasma is ~12 hours and does not accumulate in tissues. Prodrug converted to ramiprilat. Ramiprilat displays triphasic elimination kinetics with half- lives of 2-4 hours, 9-18 hours, and >50 hours. So ACE inhibitor with Longest half life is perindopril.